One of the following is a scavenger of cholesterol from tissue and prevents atherosclerosis -
1. VLDL
2. LDL
3. Chylomicrons
4. HDL

Correct answer: 4. HDL

Explanation: HDL

The HDL particles are referred to as scavengers because their primary role is to remove free (unesterified) cholesterol from the extrahepatic tissues.
HDL particles transport cholesterol from extrahepatic tissues to liver (i.e. reverse cholesterol transport) which is then excreted through bile.